Bacteria reproduce mainly by
1. budding
2. binary fission
3. sporing
4. bacterial components produced by host cells

Correct answer: 2. binary fission